True statement about Rheumatic fever in children ?
1. Polyarthritis
2. Caused by a hemolytic streptococci
3. Erythema marginatum is most common manifestation
4. All

Correct answer: 1. Polyarthritis

Explanation: Ans. is 'a' i.e., Polyarthritis o Most commonly involved valve in case of Rheumatic carditis is the mitral valve and the most common valvular deformity produced is mitral regurgitation. o In patient with Rheumatic heart disease the mitral valve alone is involved in 65% to 70% cases, followed by Aortic valve in 25% cases. o The valvular deformity becomes manifested when Rheumatic fever becomes chronic. o Chronic Rheumatic heart disese is characterized by organization of the acute inflammation and subsequent fibrosis. o In particular, the valvular leaflets becomes thickened and retracted causing permanent deformity. o The cardinal anatomical changes which are produced to chronicity are leaflet thickening, commissuralfitsion and shortening and thickening, and fusion of the tendinous cords. o These abnormalities lead to the most serious complication of Rheumatic fever i.e., Valvular stenosis and /or regurgitation. o Most common manifestation of Rheumatic fever is arthritis. o Erythema marginatum spares the face.